Dose of acute radiation causing permanent sterility in males is
1. 0.15Sv
2. 2.5Sv
3. 3.5Sv
4. 5Sv

Correct answer: 3. 3.5Sv

Explanation: Estimated Threshold Doses for Acute Radiation Effects on Specific OrgansHealth EffectOrganDose Temporary sterilityTestes0.15Depression of hematopoiesisBone marrow0.5Reversible skin effects (e.g., erythema)Skin1-2Permanent sterilityOvaries2.5-6Temporary hair lossSkin3-5Permanent sterilityTestes3.5CataractLens of eye5Ref: Robbins and Cotran Pathologic Basis of Disease; 9th edition; Chapter 9; Environmental and Nutritional Diseases; Page no: 442; Table 9-7